Fanconi's anemia - false is ?
1. Autosomal recessive
2. Pancytopenia
3. Type I RTA
4. All are true

Correct answer: 3. Type I RTA

Explanation: Ans. is 'c' i.e., Type I RTA Fanconi anemia Autosomal recessive Pancytopenia Hyper pigmentation of trunk, neck, and inlertriginous area. Growth failure Fanconi facies (small head, small eyes) Renal abormality Proximal RTA (type II RTA) Renal tubular acidosis 3 types Distal RTA (type I) Proximal RTA (type II) Hyperkalemic RTA (type IV)